Film exposed to light during development will be
1. Blurred
2. dark
3. Light
4. reticulated

Correct answer: 2. dark